Most common symptom present in undisturbed ectopic
1. Pain in lower abdomen
2. Amenorrhea
3. Bleeding P/V
4. Fainting attack

Correct answer: 1. Pain in lower abdomen

Explanation: Ans. is a i.e. Pain in lower abdomen